CT scan shows a suharachnoid haemorrhage following symptoms of sudden headache and paralysis. Next investigation of choice is:
1. 4-vessel angiography
2. SPECT
3. Transacromial Doppler USG
4. MRI

Correct answer: 1. 4-vessel angiography

Explanation: Ans. 4-vessel angiography